Diaphragm paralysis happens in which nerve damage
1. Phrenic
2. Intercostal
3. Vagus
4. Hypoglossal

Correct answer: 1. Phrenic

Explanation: Ans. (a) Phrenic nerveRef: Internet sourcesCauses of Diaphragm paralysis:* Neurological causes:# Phrenic nerve palsy# Motor neuron disease# Neuropathies# Myopathies* Viral infections* Tumors* Trauma* Surgical Operations